Exaltation is:
1. Decreased virulence
2. Increased virulence
3. Increased susceptibility to antimicrobials
4. Loss of virulence

Correct answer: 2. Increased virulence

Explanation: Exaltation - increased virulence Attenuation - Decreased virulence Attenuation is used in producing vaccines.